Which of the following materials has the highest linear coefficient of expansion?
1. Amalgam
2. Direct gold
3. Tooth structure
4. Composite resin

Correct answer: 4. Composite resin

Explanation: Composite materials exhibit more dimensional change (2.5 times greater than tooth structure) when subjected to extreme changes in temperature than do the other choices. Direct gold is slightly higher than tooth structure and amalgam is about twice as high as tooth structure.